Which of the following are the first incisors to erupt in an infant-
1. Lower central
2. Lower lateral
3. Upper central
4. Upper lateral

Correct answer: 1. Lower central

Explanation: Ans. is 'a' i.e., Lower central